A 36 years old multigravida at 34 weeks, with previous 2 normal vaginal delivery now presented with unstable lie. The most likely diagnosis it s case is:
1. Oligohydramnios
2. Placenta previa
3. Pelvic tumor
4. Uterine anomalies

Correct answer: 2. Placenta previa

Explanation: Ans. b. Placenta previa